Which of the following induces apoptosis in a cell?
1. Glucocorticoids
2. Isoprenoids
3. Myristic acid
4. Oleic acid

Correct answer: 1. Glucocorticoids

Explanation: Ans. a. Glucocorticoids (Ref: Underwood Pathology 5/e p78)Glucocorticoids induce apoptosis in a cell. (AIIMS November 2013 repeat)'Inducers of apoptosis are growth factor withdrawal, detachment from matrix, glucocorticoids, cytotoxic drugs and immune cytolysis. - Underwood Pathology5/ 78ApoptosisInducers of apoptosis* Growth factor withdrawalQ* Detachment from matrixQ* GlucocorticoidsQ* Cytotoxic drugsQ* Immune cytolysisQOut of these, glucocorticoids are also potent inducers of apoptosis in many cells types and tissuesQ.Glucocorticoid-induced apoptosis affects the skeletal system, muscular system, circulatory system, nervous system, endocrine system, endocrine system and immune systemQ.Oleic acid promotes lipid droplets and induced autophagy but minimal effects on apoptosisQ.